Which of the following-is the first sign of sexual maturity in boys?
1. Increase in height
2. Appearance of facial hair
3. Change in voice
4. Increase in testicular size

Correct answer: 4. Increase in testicular size

Explanation: Ans. (d) Increase in testicular sizePlease refer explanation of question 40